All the following statement about clozapine are true except
1. It is used in schizophrenia
2. May precipitate seizure
3. May cause agranulocytosis
4. Extrapyrimidal side effects are seen

Correct answer: 4. Extrapyrimidal side effects are seen

Explanation: D i.e. Extrapyramidal side effects are seen